Multiple sclerosis is characterized by a loss of which lipids
1. Phospholipids and ceramide
2. Sphingolipids and ceramide
3. Sphingolipids and gangliosides
4. Phospholipids and sphingolipids

Correct answer: 4. Phospholipids and sphingolipids

Explanation: Phospholipids and sphingolipids Ceramide is an important signaling molecule for apoptosis and is a precursor for glycosphingolipids and gangliosides. Sphingolipids and phospholipids are structural lipids in membranes. Multiple sclerosis is a demyelinating disease in which both phospholipid and sphingolipid levels are decreased, unlike lipid storage diseases, which affect sphingolipid levels. Ref : www.ncbi.nlm.gov